NO is synthesized by -
1. Uracil
2. Aspartate
3. Guanosine
4. Arginine

Correct answer: 4. Arginine

Explanation: Ans. is 'd' i.e., Arginine * Nitric oxide, also called endothelium-derived-relaxing factor (EDRF), is formed from amino acid arginine, by the action of the enzyme NO synthase, which is cytosolic.ArginineNO synthase-------Citrulline + NO